Evaluation of a patient with post menopausal bleeding is done by :
1. Pap smear
2. USG
3. Endometrial biopsy and Dilatation & curettage both
4. All

Correct answer: 4. All

Explanation: Ans. is a, b and c i.e. Pap smear; USG; Endometrial biopsy; and Dilatation & curettage Investigations to be done in a case of postmenopausal bleeding Pap's smeardeg * Endometrial sampling through biopsydeg Hysteroscopydeg * D & Cdeg Pelvic USG" particularly TVS or sonohysterography. (Endometrial thickness < 6mm measured by TVS is unlikely to indicate endometrial cancer).